Splenectomy is most useful in -
1. Sickle cell anemia
2. Thalassemia
3. Hereditary spherocytosis
4. Acquired autoimmune hemolytic anemia

Correct answer: 3. Hereditary spherocytosis

Explanation: Ans is 'c' i.e., Hereditary spherocytosis "Splenectomy is the sole treatment for hereditary spherocytosis and is indicated even when the anemia is fully compensated and the patient is asymptomatic." - CSDT 13/e, p 604 In thalassemia, since the anemia is due to both increased destruction of red cells and decreased hemoglobin production, splenectomy does not cure the anemia as in spherocytosis, but it may reduce transfusion requirement. Splenectomy is very rarely indicated in sickle cell anemia (in 3% of pts) and the most frequent indications are hypersplenism and acute sequestration crisis. Although there is no benefit of splenectomy on the disease process. Splenectomy does not affect the sickling process.